Anaesthetic agent(s) safe to use in↑ICP –
1. Halothane
2. Thiopentone
3. Ketamine
4. Ether

Correct answer: 2. Thiopentone

Explanation: All IV inducing agents (including thiopentone) except for ketamine decrease ICT.
Ketamine increases ICT.
Inhalational agents (Ether, Halothane) increase ICT.